Use of floss in healthy mouth is recommended:
1. Not recommended
2. Once daily
3. Each time after meals
4. Twice daily

Correct answer: 2. Once daily